All the following can give rise to membrane on the pharynx except
1. Staphylococcus aureus
2. Corynebacterium
3. Candida
4. Vincent's angina

Correct answer: 1. Staphylococcus aureus